Which Of the following statements is True?
1. Intensity of Radiation decreases as a function of the distance from source of radiation
2. Intensity Of Radiation Increases as a function of distance from source of radiation
3. Intensity of Radiation decreases as a function of square of distance from source of Radiation
4. Intensity Of Radiation increases as a function of square of distance from source of Radiation

Correct answer: 3. Intensity of Radiation decreases as a function of square of distance from source of Radiation

Explanation: Inverse Square Law states that Radiation Dose is inversely proportional to the square of distance from the Source of Radiation